The first step in surveying the cast for RPD is:
1. Establishment of guiding plane
2. Establishment of undercuts for retention
3. Establishment of tooth contour for esthetics
4. Establishment of interferences for major connector

Correct answer: 1. Establishment of guiding plane